Nuclear drop is seen in?
1. Posterior polar cataract
2. Posterior subcapsular cataract
3. Cortical cataract
4. Congenital cataract

Correct answer: 1. Posterior polar cataract

Explanation: Nuclear drop or dropped lens is complication of cataract surgery. During cataract surgery theremay ber tear in posterior capsule causing droping lens in vitreous. "The importance of posterior polar cataract lies in its higher risk of complication - posterior capsular tear and possible nucleus drop during surgery". (Ref: www.ncbi.nlm.nih.gov)